Where do primordial germ cells initially develop
1. In the gonads at week 4 of embryonic development
2. In the yolk sac at week 4 of embryonic development
3. In the gonads at month 5 of embryonic development
4. In the yolk sac at month 5 of embryonic development

Correct answer: 2. In the yolk sac at week 4 of embryonic development

Explanation: Primordial germ cells, the predecessors to gametes, are first seen in the wall of the yolk sac at week 4 of embryonic development They migrate into the gonads at week 6.